A 28-year-old G1 at 18 weeks has right - sided groin pain which is sharp and occuring with movement. No fever or chills. Local heat helps alleviate the discomfort. What is the likely etiology of this pain?
1. Round ligament pain
2. Appendicitis
3. Preterm labor
4. Kidney stone / Urinary tract infection

Correct answer: 1. Round ligament pain

Explanation: Round ligament pain during pregnancy:- * Round ligament pain is a sharp pain often felt in the lower belly or groin area on one or both sides * It is most often felt during the second trimester * As the pregnancy advances, the round ligament stretches that makes it more likely to become strained * Sudden movements can cause the ligament to tighten quickly, like a rubber band snapping. This causes a sudden & quick jabbing feeling